Positive indicator of health ?
1. IMR
2. Child mortality rate
3. MMR
4. Life expectancy

Correct answer: 4. Life expectancy

Explanation: Ans. is 'd' i.e., Life expectancy